Hallmark of Barrett's epithelium is
1. Mucus secreting goblet cells
2. Transitional columnar epithelium
3. Stratified squamous epithelium
4. Acid producing parietal cells

Correct answer: 1. Mucus secreting goblet cells

Explanation: Barrett's oesophagus is a metaplastic change in the lining mucosa of the oesophagus in response to chronic gastro-oesophageal refluxThis adaptive response involves a mosaic of cell types, probably beginning as a simple columnar epithelium which becomes 'specialised' with time. The hallmark of 'specialised' Barrett's epithelium is the presence of mucus-secreting goblet cells (intestinal metaplasia).Ref: Bailey and Love 27e pg: 1081